Which of the following statements about Total Infra–Venous Anaesthesia (TIVA) is true –
1. Causes More Renal Toxicity
2. Reduces Cerebral Metabolic Rate
3. Risk of Malignant Hyperthermia is high
4. Inhibits Hypoxic Pulmonary Vasconstriction

Correct answer: 2. Reduces Cerebral Metabolic Rate

Explanation: Total intravenous anaesthesia refers to a technique in general anaesthesia using a compination of agents given solely by IV route and in the absence of all inhalation agents.
TIVA (Total intravenous anaesthesia) is produced by IV propoful. Propofol decreases the cerebral metabolic rate.
Propofol does not impair renal function, does not trigger malignant hyperthermia and does not inhibit hypoxic pulmonary vasoconstriction.